If in an edentuluous patient, centric occlusion is not equal to centric relation, it  results into unstable dentures. This can be most closely related to:
1. Flattening of condylar head
2. Loss of proprioceptive impulses
3. Resorption of ridges
4. All of the above

Correct answer: 2. Loss of proprioceptive impulses